Charlie Chaplin gait is a feature of:
1. Congenital coxa vara
2. Tibial torsion
3. Genu valgus
4. CDH

Correct answer: 2. Tibial torsion

Explanation: Charlie Chaplin gait is seen in bilateral external torsion of tibia, caused by faulty sitting or sleeping, as in prolonged maintenance of 'spread-eagle' or frogleg position. Management includes early change sleep position, brace management, or late osteotomy.